All of the following are significant risk factors for colonic carcinoma in an adenomatous polyp except
1. Pedunculated polyp
2. Villous histology
3. Size > 2 cm
4. Atypia

Correct answer: 1. Pedunculated polyp

Explanation: Adenomatous polyps may be sessile or pedunculated. Cancers develop more frequently in sessile polyps.
Atypia, on histology, seen anywhere, is a risk factor for cancer.